A diabetic patient developed cellulitis due to S. Aureus, which was found to be methicillin-resistant on the antibiotic sensitivity testing. All of the following antibiotics will be appropriate except -
1. Vancomycin
2. Imipenem
3. Teicoplanin
4. Linezolid

Correct answer: 2. Imipenem

Explanation: As drug resistance is so common among staphylococci, the appropriate antibiotic should be chosen based on antibiotic sensitivity tests. Benzylpenicillin is the most effective antibiotic if the strain is sensitive. Vancomycin is the drug of choice for MRSA. Imipenem: It is a semisynthetic beta-lactam antibiotic. It has a wide spectrum of antibacterial activity-gram positive organisms like streptococci, staphylococci, enterococci. It is resistant to most beta-lactamases. Ref: Textbook of Microbiology; Ananthanarayanan and Panicker; 10th Edition; Page No: 208